Serum enzyme used for MI
1. CK
2. Alkaline phophatase
3. Acid phosphatase
4. Lipase

Correct answer: 1. CK

Explanation: The enzymes routinely measured in the clinical laboratory for the purpose of diagnosing and monitoring myocardial infarction include creatine kinase (CK), aspartate aminotransferase (sGOT or AST), and lactate dehydrogenase (LDH).